Total score in Glasgow Coma Scale of a conscious person is
1. 8
2. 3
3. 15
4. 10

Correct answer: 3. 15

Explanation: (C) 15 GLASGOW COMA SCALE RESPONSESCORE# EYE OPENING Opens eyes spontaneously4 Opens eyes in response to speech3 Open eyes in response to painful stimulation (Eg, endotracheal suctioning)2 Does not open eyes in response to any stimulation1# MOTOR RESPONSE Follows commands6 Makes localized movement in response to painful stimulation5 Makes nonpurposeful movement in response to noxious stimulation4 Flexes upper extremities/extends lower extremities in response to pain3 Extends all extremities in response to pain2 Makes no response to noxious stimuli1# VERBAL RESPONSE Is oriented to person, place, & time5 Converses, may be confused4 Replies with inappropriate words3 Makes incomprehensible sounds2 Makes no response1